Small opacities in the media of the eye are best detected by:
1. Distant direct ophthalmoscopy
2. Direct ophthalmoscopy
3. Indirect ophthalmoscopy
4. All of the above

Correct answer: 1. Distant direct ophthalmoscopy

Explanation: Ans. Distant direct ophthalmoscopy